Which of the following treatment modalities is not used for management of acute blood loss due to ruptured esophageal varices
1. Endoscopic sclerotherapy
2. Endoscopic band ligation
3. Octreotide
4. Propanalol

Correct answer: 4. Propanalol

Explanation: Management of acute variceal bleeding Admit to ICU Blood resuscitation (upto Hb level of 8gm/dl) In patients with severe Coagulopathy - FFP and platelets Short time antibiotic prophylaxis - ceftriaxone1gm/day IV often given Vasopressin( IV dose of 0.2-0.8 units/ min Somatostatin and octreotide Endoscopic sclerotherapy Shunt therapy or TIPS - refractory bleeding Ref: Sabiston 20th edition Pgno :1437-1440